The statement “The nerve axons found among the odontoblasts and in the cell-free and cell-rich zones are nonmyelinated but are enclosed in a Schwann cell covering”
1. FALSE
2. TRUE
3. Partially True
4. Can be completely True or False.

Correct answer: 2. TRUE